Nucleus tractus solitarius is associated with which cranial nerve:
1. 5
2. 9
3. 8
4. 4

Correct answer: 2. 9

Explanation: Ans. B. 9Nucleus tractus solitarius (NTS) is a series of purely sensory nuclei forming a vertical column of grey matter embedded in the medulla oblongata. It is best known for carrying afferent taste (special visceral afferent) information, but it is also a major processing station for ascending visceral information from throughout the body, and it plays an important role in neuro-immune loops and autonomic reflexes. Major functions include taste and cardiac control.The nucleus tractus solitarius and associated tract receives special and general visceral afferents via the facial (CN VII), glossopharyngeal (CN IX) and vagus (CN X) nerves.